Perception of uterine contraction is known as:
1. Chadwik sign
2. Goodell sign
3. Palmer sign
4. Hegar sign

Correct answer: 3. Palmer sign

Explanation: Ans: c (Palmer sign) Ref: Dutta, 6th ed, p. 66Perception of rhythmic uterine contraction on bimanual examination in pregnancy is Palmer sign. It is done as early as 4-8 weeks. This is one of the signs used to diagnose pregnancy. There are various signs and symptoms to detect early pregnancy. These are listed below:Diagnosis of pregnancy1st trimester - Amenorrhoea- Morning sickness- Freq. of micturition- Breast discomfortPlacental signBleeding at the time of next periodHartman signImplantation bleedingJacquemiersign(Chadwick sign)Blue hue of vestibule and anterior vaginal wallOsiandersignIncreased pulsation in the lateral fornixGoodell signCervix becomes softPiskacek signDuring lateral implantation one half of the uterus becomes more firm than other halfHegars signOn bimanual palpation upper uterus and cervix are felt separately, due to the softening of lower part of body of uterus.(6-10 weeks)Palmer signRhythmic uterine contraction during bimanual examination.2nd trimester- Quickening (16-18 wks)- Chloasma (20 wks)- Breast changes - Secondary areola- Montgomery tubercles -Colostrum - 12 wks- Linea nigra- Striae gravidarum- Ext. ballotment- Int. ballotment